In a specimen of kidney, fibrinoid necrosis is seen and onion peel appearance is also present. Most probable pathology is -
1. Hyaline degeneration
2. Hyperplastic arteriosclerosis
3. Glomerulosclerosis
4. Fibrillary glomerulonephritis

Correct answer: 2. Hyperplastic arteriosclerosis

Explanation: . Hyperplastic arteriosclerosis